In assessing the literacy rate, the parameter which is used:
1. Age above 7 years
2. Schooling up to 10th class
3. Schooling up to 15 years
4. All population

Correct answer: 1. Age above 7 years

Explanation: Ans. a. Age above 7 years (Ref Park 23/e p485, 21 e p449)In assessing the literacy rate, age above 7 years is the parameter.Literate (India): Any person who can read and write, with understanding, in any one language of India and who is more than 7 years of age.Literate (India): Any person who can read and write, with understanding, in any one language of India and who is more than 7 years of age.Literacy rate: Denominator is population >7 years of ageCrude literacy rate: Denominator is whole population (used earlier)